Professional misconduct ?
1. Selling drugs
2. Dichotomy
3. Issuing false certificate
4. All of the above

Correct answer: 4. All of the above

Explanation: Ans. is 'd' i.e., All of the above There is no fixed list of conduct constituting professional misconduct, however some important examples are :? Criminal abortion Treating the patient in drunk state Unnecessory advertisement Adultery Being drug addict Dichotomy (fee-sharing) Avoiding consultation on religious ground viii)Issuing false certificates Association with drug manufacturing firms Assisting unquilified person (covering) Appointing unquilified staff Keeping agents to get patients Neglet of patient or not attending emergency Selling drugs or instruments Wrong investigation or treatment Not explaning the prognosis Experimentation on patient.